Most common type of class II mutation in cystic fibrosis is
1. Missense mutation
2. Frameshift
3. Non sense
4. Deletion

Correct answer: 4. Deletion

Explanation: Ans. D. DeletionClass II mutation : 'Deletion' of phenylalanine amino acid so CFTR protein fails to reach cell membrane